True about mycobacterium leprae:
1. Transmitted by droplet infection
2. Phenolic glycolipid (PGL) is virulence factor
3. Generation time 12-13 days
4. All are true

Correct answer: 4. All are true

Explanation: Ans. is. 'd' i. e., All are true